Carbon monoxide poisoning causes
1. Hypoxic hypoxia
2. Oxygen dissociation curve shifts to left
3. Cyanosis
4. Diffusion capacity of lungs decreases

Correct answer: 2. Oxygen dissociation curve shifts to left